Etanercept used in rheumatoid arthritis act by the inhibition of :
1. TNF alpha
2. TFG beta
3. IL–2
4. IL–6

Correct answer: 1. TNF alpha